Which is provided by linear accelerator
1. Electron
2. Neuron
3. Proton
4. Infrared rays

Correct answer: 1. Electron

Explanation: A i.e. Electron